Korner's septum is seen in ?
1. Petrosquamous suture
2. Temporosquamous suture
3. Petromastoid suture
4. Frontozygomatic suture

Correct answer: 1. Petrosquamous suture

Explanation: Mastoid develops from squamous and petrous bone.Korner's septum is persistence of petrosquamous suture in the form of a bony plate.Korner's septum is surgically important as it may cause difficulty in locating the antrum and the deeper (ells, and thus lead to incomplete removal of disease at mastoidectomy. Mastoid antrum cannot be reached unless theKorners septum has been removed.